Which of the following ECG changes is least likely in a patient with left pneumothorax :
1. Inversion of T wave
2. Left axis deviation
3. Small Rwave
4. Electrical alternans

Correct answer: 2. Left axis deviation

Explanation: Answer is B (Left axis deviation) A left sided pneumothorax will shift the axis of the heart towards the right leading to a right axis deviation rather than a left axis deviation.